All of the following are WHO notifiable diseases EXCEPT:
1. Cholera
2. Chicken pox
3. Plague
4. Yellow fever

Correct answer: 2. Chicken pox

Explanation: Ans. (b) Chicken poxRef : K. Park 23rd ed. /143, 841, 21sted. 1780* The following diseases are notifiable to WHO in Geneva:# Cholera# Plague# Yellow fever* In addition to these a few others like: Louse borne typhus, relapsing fever, Polio, Influenza, malaria, rabies and salmonellosis are subject to international surveillance.